IV Ergotamine should be given:
1. After the delivery of shoulder
2. During breech extraction
3. In twin pregnancy, first delivery of the child
4. During face presentation

Correct answer: 1. After the delivery of shoulder

Explanation: After the delivery of shoulder